Which of the following drugs does not cause drug-induced hepatitis?
1. Isoniazid
2. Rifampidn
3. Ethambutol
4. Methyldopa

Correct answer: 3. Ethambutol

Explanation: Ans: C (Ethambutol) Ref: KD Tripathi, Essentials in Pharmacology, 6th edition, pg 742 Explanation: Causes of Drug-Induced Hepatitis NSAIDs Amiodarone Anabolic steroids OCPs Chlorpromazine Erythromycin Halothane Methyldopa isoniazid Rifampicin Methotrexate Statins Sulfa drugs Tetracyclines Adverse Effects of Ethambutol Low visual acuity, defects in color vision and field defects due to optic neuritis Nausea Rashes Fever Neurological manifestations Hyperuricemia